Morel-Lavallee lesion leave lesion is seen in
1. Acetabular fracture
2. Fracture femur neck
3. Fracturelumbar spine
4. Fractrue proximal tibia

Correct answer: 1. Acetabular fracture

Explanation: Morel-Lavallee lesion is a localized area of subcutaneous fat necrosis over the lateral aspect of the hip caused by the same trauma that causes the acetabular facture(Refer: Mohindra's Fundamentals of Orthopedics, 2nd edition, pg no. 117)